Which of the following is not a criteria suggesting causality in non communicable diseases?
1. Strength of association
2. Dose response relationship
3. Specificity of association
4. Lack of temporal association

Correct answer: 4. Lack of temporal association

Explanation: Presence of temporal association forms a criterion for judging causality and not its lack or absence. Criteria for judging casuality in a non communicable disease includes temporal association, strength of association, specificity of association, consistency of association, biological plausibility and coherence of association. Ref: Park's Textbook of Preventive and Social Medicine, By K. Park, 19th Edition, Pages 83-85